All the following statements are true except?
1. X-Rays are extranuclear in origin.
2. Gamma Rays are intranuclear in origin.
3. Ultrasound uses a type of Electromagnetic radiation.
4. Velocity of X-Rays is equal to the velocity of light.

Correct answer: 3. Ultrasound uses a type of Electromagnetic radiation.

Explanation: *Ultrasound waves are sound waves,not electromagnetic waves. *Ultrasound waves travel with a velocity of 1540m/s in human tissues. *All Electromagnetic radiations like X rays,Gamma Rays,Infrared waves travel with the same velocity i.e. the velocity of speed of light 3 x108m/s. *Wavelength of Xrays is 0.1-100 Angstrom.